Destruction of right labyrinth causes nystagmus to-
1. Right side
2. Left side
3. Rotatory nystagmus
4. No nystagmus

Correct answer: 2. Left side

Explanation: Remember the following FUNDA

In destructive lesions or paretic lesions eg. trauma to labyrinth, the nystagmus is towards the opposite side.
In irritative lesions eg. serous labyrinthitis, fistula of labyrinth, the nystagmus is towards ipsilateral side.